Which of the following complications during pregnancy is least likely to increase risk of post partum atonicity of uterus
1. Hypertension
2. Macrosomia
3. Twin pregnancy
4. Hydramnios

Correct answer: 1. Hypertension

Explanation: Hypertension is a risk factor of PPH secondary to decreased coagulation , hepatocellular damage or thrombocytopenia and not due atonicity per say Atonicity causes about 80% of PPH. The causes of atonicity can be : Large uterus- macrosomia, twins, polyhydramnios Infections- PROM, Chorio amnionitis Prolonged labour